Molecular interaction, found in the structure ofDNA -
1. Hydrogen bond
2. Glycosidic bond
3. Covalent interactions
4. All of the above

Correct answer: 4. All of the above

Explanation: Ans. is'd' i.e., All of the above